Which of the following dissection method of heart is very useful for demonstrating the distribution of infarction?
1. Inflow outflow method
2. Ventricular slicing method
3. Sandwich method
4. Perfusion method

Correct answer: 2. Ventricular slicing method

Explanation: Short axis or ventricular slicing method: * Heart in the anatomical position, the first slice is made through the heart at a point about 3 cm from the apex separating it from the remainder of the heart. * Complete slices are then made in parallel to this slice, 1 cm apart, until reaching below the atrioventricular valves. * The remainder is then examined by opening along the path of blood flow. It is useful if ischemic myocardial disease is suspected as it clearly demonstrates the distribution of infarction.